Which of the following is a Protein C analogue?
1. Eltrombopag
2. Drotrecogin alfa
3. Andexanat alfa
4. Idarucizumab

Correct answer: 2. Drotrecogin alfa

Explanation: Drotrecogin alfa is a recombinant form of activated protein C, that inhibits coagulation by inactivating factor Xa & factor VIIIa.